Which of the following is not true about facial nerve & its relations
1. Processus cochleariformis acts as a landmark for geniculate ganglion of facial nerve
2. Tympanic segment of facial nerve lies below round window & above horizontal semi circular canal
3. Mastoid segment of facial nerve lies always behind tympanomastoid suture
4. A patient with lesion between geniculate ganglion & nerve to stapedius will have phonophobia & loss of stapedial reflex & taste sensation

Correct answer: 2. Tympanic segment of facial nerve lies below round window & above horizontal semi circular canal

Explanation: Tympanic segment of facial nerve lies Above oval window & Below Horizontal SCC FOR MIDDLE EAR AND MASTOID SURGERY Processus cochleariformis- It demarcates geniculate ganglion which lies just anterior to it. Tympanic segment of the nerve starts at this level. Oval window and horizontal canal- Facial nerve runs above oval window (stapes) and below the horizontal canal. Short process of incus- Nerve lies medial to short process of incus at level of aditus. Pyramid-Nerve runs behind the pyramid and the posterior tympanic sulcus. Tympanomastoid suture- In vertical/mastoid segment, nerve runs behind this suture. Digastric ridge- Nerve leaves the mastoid at the anterior end of digastric ridge.